Which one of the following uses its type IV pili for twitching motility on surfaces?
1. Pseudomonas
2. Spirillum
3. Salmonella
4. Shigella

Correct answer: 1. Pseudomonas

Explanation: (A) Pseudomonas # Pseudomonas aeruginosa uses its type IV pili for twitching motility on surfaces. The ability of pili from Pseudomonas aeruginosa K (PAK) to act as an adhesin to human respiratory epithelial cells> Bacteria from the genus Spirillum have unusual types of flagella. It was originally thought that these bacteria had an individual flagellum on each end of their cells. It is now known that they have a cluster on each end, composed of about 75 individual flagella. It is the motion of these that causes the organisms to move in their characteristic corkscrew fashion.> Salmonella is a genus of rod-shaped, Gram-negative, non-spore-forming, predominantly motile enterobacteria with diameters around 0.7 to 1.5 pm, lengths from 2 to 5 pm, and flagella which grade in all directions (i.e. peritrichous).> Shigella sonnei is a non-motile, nonspore-forming, facultative anaerobic Gram-negative bacterium.